True about iron absorption are all except
1. Major site of absorption is duodenum
2. Stored as ferritin
3. Absorbed in ferrous form
4. Pancreatic secretion improves the absorption

Correct answer: 4. Pancreatic secretion improves the absorption

Explanation: Vitamin C has been shown to enhance iron absorption. It captures non-heme iron and stores it in a form that's more easily absorbed by your body ( 3 ). Foods high in vitamin C include citrus fruits, dark green leafy vegetables, bell peppers, melons and strawberries Ref: guyton and hall textbook of medical physiology 12 edition